Surfactant appears in amniotic uid at the gestational age of
1. 20 wks
2. 28 wks
3. 36 wks
4. 40 wks

Correct answer: 2. 28 wks

Explanation: Read below what Nelson has to say about the appearance of surfactant.
"Surfactant is present in high concentrations in fetal lung homogenates by 20 wk gestation* but does not reach the surface of the lung until later. It appears in the amniotic uid between 28-32 wks. Mature level of pulmonary surfactant is usually present after 35 wks".
Now I am leaving it to you to decide between 28 and 32 wks. I personally feel the answer should be 28 wks